All of the following tatements about Sternberg canal are true, Except?
1. Located anterior & medial to Foramen Rotundum
2. Located posterior & lateral to Foramen Rotundum
3. Represents persistant craniopharyngeal canal
4. Cause of intrasphenoidal meningocele

Correct answer: 2. Located posterior & lateral to Foramen Rotundum

Explanation: Sternberg's canal (persistent lateral craniopharyngeal canal) Originally described by Sternberg in 1888 and was reported to be constantly present in children at the age of 3-4 yrs. He described an incudence of 4% in adults. It is caused by incomplete fusion of greater wing of sphenoid with presphenoid at a point where primordial sphenoid portions fuse. It lies anterior & medial to foramen rotundum in parasellar region in middle cranial fossa. It can communicate with sphenoid sinus, pterygopalatine fossa, nasopharynx, or pass straight through the bone to emerge at the base of skull. Clinically Sternberg's canal is important as it is clinically associated with:Craniofacial angle is 130 degree. Infection to sphenoid sinus or cranial fossa. Congenital intrasphenoid meningocele (encephalocele). Lateral sphenoidal sinus 'spontaneous' CSF leak.